Causes of macrocephaly include all of the following except
1. Rickets
2. Neuro fibromatosis
3. Canavan disease
4. Congenital CMV

Correct answer: 4. Congenital CMV

Explanation: Causes of macrocephaly Increase in skull vault thickness Chronic anemia Rickets Osteogenesis imperfecta Osteopetrosis Storage in brain Tay sachs disease Maple syrup urine disease Leukodystrophy Neurofibromatosis